Which of the following is not the period of physiological raising of the bite according to Martin and Schwarz
1. Eruption of 6th year molar
2. Eruption of 12th year molars
3. Eruption of 18th year molars
4. None of the above

Correct answer: 4. None of the above

Explanation: Bruxism synonym.
Neuralgial traumatic (Karolyl)
Karolyi effect (Weskit)
Occlusal habit neurosis (Tischer)
Parafunctional occlusal habit (Drum)
According to Ramjford and Ash, BRUXISM is triggered by: Emotional tensions Occlusal maladjustment Pain / discomfort